According to the WHO, what is the minimum bacteriological standard for drinking water -
1. All the samples should not contain coliform organisms
2. 3 consecutive samples of water should not contain any coil forms
3. 3 coliforms in a 100 ml water
4. I coliform in a 100 ml water

Correct answer: 1. All the samples should not contain coliform organisms

Explanation: Ans. is 'a' i.e., All the samples should not contain coliform organisms